This antihistaminic drug can cause cardiac arrhythmia at a high dose by blocking cardiac K+ channels. It is most likely to be :
1. Levocetirizine
2. Fexofenadine
3. Astemizole
4. Loratadine

Correct answer: 3. Astemizole